Anti-ds DNA antibodies are most specific for
1. SLE
2. Rheumatoid arthritis
3. Scleroderma
4. Polymyositis

Correct answer: 1. SLE

Explanation: The best screening test for SLE is a demonstration of Antinuclear antibodies (ANA) Sensitive test for SLE ANA Specific test for SLE Anti-ds DNA and Anti Sm antibody Ref - Harrison's internal medicine 20e pg 2515, 2516f, 2517t, 2518t, 2522